A 25-years old male patient presents with pigmentation of the lips and oral mucosa and intestinal polyps. His sister also gives the same history. Most probable diagnosis is:
1. Carcinoid tumor
2. Melanoma
3. Villous adenoma
4. Peutz-Jegher's syndrome

Correct answer: 4. Peutz-Jegher's syndrome

Explanation: Peutz-Jegher's syndrome - Multiple hamartomatous polyps in S.I - M/C part - Jejunum- Gene- LDB-1 / STK-11 - 19p- Hyper melanotic macules over Lips &Buccal mucosa - Does not |risk of colorectal cancer- | risk of S.I. malignancy- | risk of- Breast - Thyroid- Pancreas (max risk)- Endometrial - Sertoli cell tumor of testis